Features of tumour lysis syndrome -a) Hyperuricemiab) Hypercalcemiac) Hyperphosphatemiad) Hypematremiae) Hyperkalemia
1. acd
2. bde
3. ace
4. ade

Correct answer: 3. ace